Hypophosphatemic Vitamin D Resistant Rickets is?
1. AR
2. AD
3. XD
4. XR

Correct answer: 3. XD

Explanation: X-linked dominant (XD) inheritance : 1. Hypophosphatemic Vitamin D Resistant Rickets 2. Alport syndrome 3. Charcot Marie tooth disease 4. Incontinentia Pigmenti 5.Fragile X- syndrome